Recently delivered female with a shiny mass in the breast with fever
1. Breast abscess
2. Fibro adenosis
3. Sebaceous cyst
4. Fibroadenoma

Correct answer: 1. Breast abscess

Explanation: Ans. (a) Breast Abscess(Ref Bailey and Love 866)* MC organism causing breast abscess - Staphylococcus aureus* It is due to ascending infection of a sucking Baby* Treatment is by Antibiotics and I/D if not resolved in 48 hours